Setting time of amalgam is best controlled by
1. Using spherical particles
2. Lathe cut alloy
3. Altering Hg-alloy ratio
4. Trituration time

Correct answer: 4. Trituration time